Which of the following methods of contraception should be avoided in women with epilepsy?
1. Oral contraceptive pills
2. IUCD
3. Condoms
4. Diaphragm

Correct answer: 1. Oral contraceptive pills

Explanation: All the antileptics (except for sodium valproate and clonazepam) have the property to induce the enzyme complex which metabolizes the oral contraceptives. Hence it is better avoided in patients with a history of epilepsy on medications. The other three methods of contraception mentioned in the question have no such contraindication. Ref: Dutta textbook of Obstetrics, 6th Edition, Page 545; Textbook of Gynaecology By Rao, Page 183-184